Duffy antigen on erythrocytes are receptors for
1. P. falciparum
2. P. vivax
3. P. ovale
4. P. malariae

Correct answer: 2. P. vivax